Pregnancy which continues 'following threatened abortion is likely to have increased incidence of:
1. Preterm laber
2. Fetal malformation
3. IUGR
4. All of the above

Correct answer: 4. All of the above

Explanation: Prognosis of threatened abortion
In about two-third, the pregnancy continues beyond 28 weeks. In the rest, it terminates either as inevitable or missed miscarriage. If the pregnancy continues, there is increased frequency of preterm labor, placenta previa, intrauterine growth restriction of the fetus and fetal anomalies.